Monckenbergs sclerosis invloves -
1. Intima
2. Media
3. Externa
4. All the layers

Correct answer: 2. Media